Nephrotoxicity is seen with :
1. Doxycycline
2. Aminoglycosides
3. Erythromycin
4. Rifampicin

Correct answer: 2. Aminoglycosides